Lust murder is an extreme form of:
1. Troilism
2. Algolagnia
3. Masochism
4. Frotteurism

Correct answer: 2. Algolagnia

Explanation: Ans. Algolagnia